Intellectual disability is defined if IQ is below –
1. 90
2. 80
3. 70
4. 60

Correct answer: 3. 70